The type of mammary ductal carcinoma in situ (DCIS) most likely to result in a palpable abnormality in the breast is:
1. Apocrine DCIS
2. Neuroendocrine DCIS
3. Well differentiated DCIS
4. Comedo DCIS

Correct answer: 4. Comedo DCIS

Explanation: Before the use of screening mammography, ductal carcinoma in situ (DCIS) typically presented as a palpable mass or nipple discharge. Ref: Robbin's Basics of Pathology , 7th Edition, Page I139; Management of Breast Diseases By Ismail Jatoi, Manfred Kaufmann, 2010, Page 206; Perez and Brady's Principles and Practice of Radiation Oncology By Edward C. Halperin, Carlos A. Perez, Luther W. Brady, 2008, Page 438.